The index age group for deciduous teeth in year is:
1. 12
2. 5
3. 35 - 44
4. 65 - 74

Correct answer: 2. 5